In conversion of DNA to RNA, enzyme required:
1. DNA- Polymerase I
2. DNA Ligase
3. DNA-Polymerase III
4. RNA polymerase

Correct answer: 4. RNA polymerase

Explanation: D i.e. RNA polymeraseDNA dependent RNA polymerase is key enzyme in transcription (i.e. DNA to RNA conversion)Q. Whereas, DNA polymerase, DNA ligase and primase are used in DNA replication0.